Ricketssia Reckettsii is responsible for which disease -
1. Endemic typhus
2. Epidemic typhus
3. Scrub typhus
4. Rocky mountain spotted fever

Correct answer: 4. Rocky mountain spotted fever

Explanation: Ans. is 'd' i.e., Rocky mountain spotted fever VectorDiseases and organisms1) MiteScrub typhus (R. tsutsugamushi), Rickettsial pox (R. akari)2) LouseEpidemic typhus (R. prowaekii), Trench fever (R. quintana)3) FleaEndemic or murine typhus (R. typhi)4) TickIndian tick typhus (R. conorii), RMSF (R. Rickettsii)